Bronchiectasis means-----of bronchi -
1. Inflammation
2. Dilatation
3. Cavitation
4. All

Correct answer: 2. Dilatation

Explanation: Bronchiectasis 

Bronchiectasis is a disease characterized by permanent dilatation of bronchi and bronchioles caused by the destruction of the muscle and elastic tissue, resulting from or associated with chronic necrotizing infections.
Bronchiectasis is associated with -

1.   Congenital conditions

Cystic fibrosis
Primary ciliary dyskinesia (Kartagener syndrome)
Intralobar sequestration of the lung.

2.   Post infectious necrotizing pneumonia

Bacteria → M. Tuberculosis, staph. aureus, H. influenzae, Pseudomonas.
Viruses → Adenovirus, HIV, influenza virus.
Fungus → Allergic bronchopulmonary aspergillosis.

3. Bronchial obstruction → Tumor, foreign body, mucus impaction.
4. Other conditions → RA, SLE, IBD, post-transplantation.